Haab striae are seen in
1. Buphthalmos
2. Keratoglobus
3. Trachoma
4. Keratoconus

Correct answer: 1. Buphthalmos

Explanation: Haab striae are seen in buphthalmos ( congenital glaucoma ). These are curvilinear healed breaks in Descemet membrane. Buphthalmos is a large eye as a result of stretching due to elevated IOP prior to the age of 3 years. Ref: kanski's clinical ophthalmology, 8th edition, page no.386